Which of the following is NOT a motile organism:
1. Shigella
2. Treponema
3. Listeria
4. Pseudomonas

Correct answer: 1. Shigella

Explanation: Ans. A i.e. Shigella Shigellae are short, Gram negative bacilli. They are non-motile, non-capsulated and non-sporing.